Which of the following hepatitis virus is cultivable:
1. Hepatitis A
2. Hepatitis B
3. Hepatitis D
4. Hepatitis E

Correct answer: 1. Hepatitis A

Explanation: Ans. (a) Hepatitis A HAV can be grown in some human and simian cell cultures and is the only human hepatitis virus which can be cultured easily in vitro. It has also been cloned. HAV is the hepatitis virus That causes spiky fever Show no perinatal transmission The risk of transmitting HAV is greatest from 2 weeks before to 1 week after the onset of Jaundice.